Dermoid cyst is a form of
1. Cystic hamartoma
2. Cystic teratoma
3. Choriostoma
4. Hamartoma

Correct answer: 2. Cystic teratoma